Aeroplane splint is used in:
1. Radial nerve injury
2. Ulnar nerve injury
3. Brachial plexus injury
4. Scoliosis

Correct answer: 3. Brachial plexus injury

Explanation: Aeroplane splint is used for brachial plexus palsy.